Irradiation are used for all except -
1. Syringes
2. Catgut suture
3. Grafts
4. Endoscope

Correct answer: 4. Endoscope

Explanation: Ans. is 'd' i.e., Endoscope Radiationso Two types of radiations are used for sterilization : (1) Ionizing radiation, and (2) Non-ionizing radiations.1) Ionizing readiations# Sterilization by Ionizing radiation does not cause increase in temperature --> Cold sterilization.# Ionizing irradiation used for sterilization :-1) g (photon) irradiation - most commonly used ionizing radiation.2) b (electrons) irradiation# Materials which are destroyed by heat such as rubber or plastic disposable goods, disposable syringes, surgical catgut, bone and tissue grafts, adhesive dressings are sterilised by ionising radiations.o Gamma rays are used to sterilize heat labile instrument, plastic, syringes, swabs, greases, surgical catgut (suture), and bone & tissue grafts.2) Non-ionizing radiations# Following non-ionizing radiations are usedi) Infrared: For prepacked items such as syringes and catheters.ii) UV radiation : Used for enter ways, operation theaters and laboratories.